The most important step in primary management of a patient with fracture vertebral column:
1. Careful transport of patient
2. Maintenance of airway
3. Treatment of shock
4. None of the above

Correct answer: 2. Maintenance of airway

Explanation: B i.e. Maintenance of airway